Pleomorphic adenomas arising from the minor salivary glands can be treated with
1. Local excision with 2mm margin
2. Local excision with 5mm margin
3. Radiotherapy
4. Chemotherapy

Correct answer: 2. Local excision with 5mm margin